How long will IVeponema pallidum survive in blood stored under oridanry refrigeration?
1. Few hours
2. 1 week
3. 3 days
4. Several years

Correct answer: 3. 3 days

Explanation: Treponema pallidum does not survive refrigeration for more than three days. Ref Harrison20th edition pg 1079